Basal cell carcinoma treatment of choice is
1. Wide excision
2. Chemotherapy
3. Irradiation
4. Commondo operation

Correct answer: 1. Wide excision

Explanation: Basal cell carcinoma Locally invasive carcinoma, Arises from the basal layer of epidermis. MC type of skin cancer 90% of BCC are seen in the face, above a line from the corner of mouth to lobule of ear MC site : Nose >Inner canthus of the eye, also known as tear cancer Treatment Non-aggressive tumor on trunk or extremities: Excision or electrodissection and curettage Large, aggressive, located at vital areas or recurrent : Moh's micrographic surgery Ref: Sabiston 20th edition Pgno : 748